All are true about Madura mycetoma except
1. Fungal infection
2. Presented as painful nodular lesion for many months
3. Discharging sinuses
4. Bone involvement seen

Correct answer: 2. Presented as painful nodular lesion for many months

Explanation: Clinical features of mycetoma include - painless multiple nodular swellings which may be suppurative and drain through sinuses, feet and lower legs are commonly affected. Bone involvement may lead to osteomyelitis and deformities. Ref: Textbook of Microbiology, Ananthanarayan and Paniker; 9th edition